Perinatal death induces:
1. After 28 weeks of pregnancy
2. 7 days after birth
3. Both
4. None

Correct answer: 3. Both

Explanation: Both